which of the following can be used to differentiate between diabetes mellitus type 1 and 2?
1. Association with All 3/4
2. Presence or absence of insulitis
3. Insulin levels
4. All the above

Correct answer: 4. All the above

Explanation: Answer- D. All the aboveAge- <20 yearsAutoimmune destruction of Beta cells mediated by T cells and humoral mediators. Anti islet cell antibodies.Islet cells- Early Insulitis, marked atrophy and fibrosis, Beta cell depletion.Marked decrease blood insulin.